What is TRUE about antinuclear antibody (ANA) -
1. Anti-RNA antibody is specific for SLE
2. Double stranded Anti-DNA is specific for SLE
3. ANA normally present in 80%
4. None of the above

Correct answer: 2. Double stranded Anti-DNA is specific for SLE

Explanation: Ans. is 'b i.e., Double stranded Anti-DNA is specific for SLE "Antibodies to double - stranded DNA and the Smith (Sm) antigen are virtually diagnostic of SLE". -- Robbins Antibodies in SLE SLE is an autoimmune disease and the fundamental defect is a failure of mechanism that mantain self tolerance. o Failure of tolerance results in formation of autoantibodies and autoimmunity. o Amongst these antibodies, most important are antinuclear antibodies (ANA). ANAs are directed against several nuclear antigens and can be of following types. 1. Generic antinuclear antibody o Most common (between 95 to 100% of the patients). o Against DNA, RNA and proteins. o Most sensitive antibodies for SLE --> best screening test. o But, not specific because patients with other autoimmune diseases also show positive test. 2. Anti ds DNA antibody o Most specific for SLE o Not sensitive 3. Anti Smith (Sm) antibody o Along with anti ds DNA antibody, most specific for SLE. o Not sensitive 4. Antihistone antibody Particularly seen in drug induced SLE. 5. Anti RNP- SS - A (Ro), SS-B (La) Seen in neonatal lupus with congenital heart block and in subacute cutaneous lupus. o Associated with decreased risk of lupus nephritis. o More common in sjogren syndrome (Sicca syndrome). 6. Anti Ui RNP Seen in patients that have overlap feature of several rheumatic syndromes including SLE Mixed connective tissue disease. 7. Anti DNA topoisonerase (Scl - 70) o In less than 5% of patients of SLE. o More common in patients with systemic sclerosis. 8. Anticentromere In less than 5% of patients of SLE. More common in patiens with localized form of systemic sclerosis, i.e. scleroderma. 9. Anti-histidyl t-RNA systhatase In less than 5% of SLE patiens. o More common in patiens with inflammatory myopathies. Besides antinuclear antibodies following antibodies are also seen in SLE ? 1. Antiphospholipid (lupus anticoagulant) 2. Antierythrocyte ---> causes hemolytic anemia 3. Antiplatelet --> Causes thrombocytopenia 4. Antiribosomal P 5. Antineuronal